In the given cycle shown, Hydrolysis of Arginine forms what:
1. Lysine
2. Arginine
3. Ornithine
4. Urocanic acid

Correct answer: 3. Ornithine

Explanation: Ans. C. OrnithineUREA CYCLEa. First Reaction: This is a pathway that spans two cellular compartments occurs in the matrix of the mitochondria; the subsequent reactions occurs in the cytosolb. Catalyzed by ornithine transcarbamoylase which transfers a carbamoyl group form carbamoyl phosphate to ornithine to form citrullinec. Second reaction: Catalyzed by arginosuccinate synthetase it uses ATP to activate citrulline by forming a citrullyl- AMP which is an intermediate is attacked by the amino group of an aspartame residue to form arginosuccinate.d. Third step: Catalyzed by arginosuccinate lyase which cleaves arginosuccinate into fumarate and arginine.e. Fourth step: Catalyzed by arginase which cleaves arginine to produce urea and ornithine (Box in Image) completing the cycle